All the following drugs are used in the treatment of metastatic breast cancer except:
1. Ixabepilone
2. Abemaciclib
3. Ribociclib
4. Sunitinib

Correct answer: 4. Sunitinib

Explanation: Sunitinib is a novel oral multitargeted tyrosine kinase inhibitor with antitumor and antiangiogenic activities. It was recently approved in first-line treatment for patients with advanced renal cell carcinoma (RCC) and for the treatment of patients with gastrointestinal stromal tumors (GIST). Ixabepilone: Antimicrotubule inhibitor(M Phase) : use for breast cancer Abemaciclib and Ribocilib: CDK-4 and CDK-6 inhibitor use in breast cancer